The deformity of tibia in triple deformity of the knee is?
1. Extension, Posterior subluxation & external rotation
2. Flexion, posterior subluxation & external rotation
3. Flexion, posterior subluxation & internal rotation
4. Extension, Anterior subluxation & internal rotation

Correct answer: 2. Flexion, posterior subluxation & external rotation

Explanation: Flexion, posterior subluxation & external rotation REF: Apley's 8th ed p. 42 Triple deformity of knee consists of flexion, posterior subluxation of tibia and external rotation of tibia Treatment: ATT, Arthrodesis Causes: TB, Rheumatoid arthritis